Color of granule of actinomycetes?
1. Black
2. Yellow
3. Red
4. Brown

Correct answer: 2. Yellow

Explanation: Ans. is b' i.e., Yellow Granules of actinomyces are yellow coloured. "The abscesses of actinomycosis are filled with pus and yellow coloured granules known as sulfur granules". - Essentials of microbiology "The term 'sulfur granule' refers only to the yellow color, the granules do not contain sulfur".- Medical mycology